Dimensional changes and flow of sealer is according to which ADA specification Number
1. No. 55
2. No. 54
3. No. 56
4. No. 57

Correct answer: 4. No. 57